Maternal mortility rate is:
1. Maternal death/100 births
2. Maternal death/100 live births
3. Maternal death/1000 births
4. None

Correct answer: 4. None

Explanation: Ans. is 'None'